All have high hepatic clearance EXCEPT
1. Labetalol
2. Simvastatin
3. Morphine
4. Paracetamol

Correct answer: 4. Paracetamol

Explanation: (D) Paracetamol HEPATIC CLEARANCE OF DRUGSLOWHepatic ClearanceINTERMEDIATEHepatic ClearanceHIGHHepatic Clearance* Carbamazepine* Caffeine* Lignocaine* Diazepam* Fluoxetine* Morphine* Ibuprofen* Midazolam* Pethidine* Phenytoin* Omeprazole* Propranolol* Warfarin* Paracetamol* Zidovudine> Low Hepatic Clearance does not mean that the drug is then cleared by the kidneys; it indicates that the capacity of the hepatic enzymes involved in the metabolism of the drug is low.